Kidney receives how much percent of cardiac output:
1. 15%
2. 25%
3. 35%
4. 45%.

Correct answer: 2. 25%